An elderly man who has had a trival history of head injury three months ago, develops headache and turns unconscious. On examination, he is found to have fixed left dilated pupil and right hemiplegia. What is the most likely diagnosis -
1. Contusio-cereberi
2. Extradural hematoma
3. Chronic subdural hematoma
4. Brain abscess

Correct answer: 3. Chronic subdural hematoma

Explanation: Ans. is 'c' i.e., Chronic subdural hematoma